REPEAT QUESTION. Renal Calculi associated with proteus infection
1. Triple phosphate
2. Uric Acid
3. Calcium Oxalate
4. Cysteine Stones.

Correct answer: 1. Triple phosphate

Explanation: Triple phosphate or struvite ( Calcium phosphate with ammonium magnesium phosphate ) is smooth and dirty white. It grows in alkaline urine. Proteus being urea splitting organism splits urea to give ammonia and co2 whixh makes urine alkaline and promotes stag horn calculus ref : - Bailey and Love 27th edition ,chapter 76 , pg no 1406